Baby '0* positive, blood group, mother Rh negative, cord bilirubin 7 mg%, conjugated I now treatment is?
1. Nothing
2. Stop breast feeding for 48 hours
3. Continue breast feeding and phototherapy
4. Stop breast feed and prepare for exchange blood transfusion

Correct answer: 4. Stop breast feed and prepare for exchange blood transfusion

Explanation: Ans. is 'd' i.e., Stop breast tad and prepare for exchange blood transfusion